Dark field microscopy is used for -
1. Syphilic
2. Leprosy
3. Histoplasmosis
4. Capsule

Correct answer: 1. Syphilic

Explanation: Ans. is 'a' i.e., Syphilic * Dark ground (dark field) microscopy is used for -# Flagella# SpirochetesNote: T pallidum (causative agent of syphilis) is a spirochete.